Significance of Adhesin in Pathogenesis-
1. Motility
2. Bacterial attachment
3. Toxigenicity
4. Bacterial division

Correct answer: 2. Bacterial attachment

Explanation: Adhesion: The initial event in the pathogenesis of many infections is the attachment of the bacteria to body surfaces. This attachment is not a chance event but a specific reaction between surface receptors on host cells and adhesion structures on the surface of bacteria. These adhesive structures are called Adhesins . This attachment is initial step of pathogenesis of an organism in host body Ref: Ananthanarayan & paniker's Textbook of Microbiology 9th edition pg no 74